Treatment for common bile duct stone is by all except
1. ESWL
2. Exploration of bile duct and recovery of stones
3. Bile duct stenting
4. TIPSS

Correct answer: 4. TIPSS

Explanation: Choledocholithiasis :Treatment options ERCP stone extraction is successfull 80-90% of the time using the techniques of sphincterectomy and Balloon catheter or Dormia basket stone retrieval. The addition of mechanical, electro hydraulic, laser or extracorporeal shock wave lithotripsy for large stones increases the success rate to over 95% The placement of pancreatic stents has been found to reduce the incidence of post biliary sphincterectomy pancreatitis in patients suspected of sphincter of oddi dysfunction In patients for whom ERCP is not available, not possible secondary to anatomic consideration, or not successful, an alternative method of cholangiography and nonsurgical therapy is percutaneous transhepatic cholangiography (PTC) followed by transhepatic methods of stone removal Ref: Shackelford 7th edition Pgno : 1326-1331